Hounsfield unit of 200-250 in CT indicates
1. Fat
2. Calcifications
3. Acute bleed
4. CSF

Correct answer: 2. Calcifications

Explanation: The reference value for Hounsfield unit is 0 - seen with CSF or Water HU of (-50) - (-100) is seen with fat HU of (-1000) is seen with air Appears hypodense HU of +60 to +70 - Acute bleed HU of +130 - Contrast HU of +200 to +250 - Calcifications HU of +400 to +1000 -Cortical bone Appears hyperdense